Which of the following is NOT transmitted by Aedes aegypti -
1. Filariasis
2. Yellow fever
3. Dengue fever
4. Chikungunya Hemorrhagic fever

Correct answer: 1. Filariasis

Explanation: Vector Diseases transmitted Culex Bancroftian filariasis JE West Nile Fever Anopheles Malaria Filaria (outside India) Aedes Yellow fever Dengue Chikungunya Rift Valley Fever Filariasis (outside India) Mansonia Brugian filariasis and Chikungunya REF: PARK'S TEXTBOOK OF PREVENTIVE AND SOCIAL MEDICINE, 25TH EDITION, PG NO. 832